A 21yrs. old pt. attended a party the previous night and gives the following symptoms - pain in abdomen radiating to back, pulse 100/min, BP 100/76 temp 39degC and vomiting before coming Most probable dx is :
1. Acute appendicitis
2. Acute cholecystitis
3. Acute diverticulitis
4. Acute pancreatitis

Correct answer: 4. Acute pancreatitis

Explanation: Ans. is "d' ie Acute Pancreatitis The signs and symptoms exhibited by the pt. correlate with that of acute pancreatitis, most characterstic of which is ---> Radiation of pain to back and party in previous night (ie. h/o alcohol) Other imp. diagnostic clue (not given in question) is --> Relief from pain on sitting in upright posture.* Some imp. points about Acute Pancreatitis Etiology Gall stones (50 - 70% ie MC cause)* Alcohol (25%) Grey Turner sign or Cullens sign* : Bleeding into the fascial planes in acute pancreatitis can cause bluish discolouration of ? Umbilicus" v:shapes="_x0000_s1026">flanks* in Grey Turner sign* umblicus* in Cullens sign* Plain abdominal x-ray findings - include a - sentinel loop * - a colon cut off sign* - a renal 'halo' sign*